Which of the following extraocular muscle has sympathetic innervation:
1. Levator palpebrae superioris
2. Muller's muscle
3. Superior rectus
4. Inferior rectus

Correct answer: 2. Muller's muscle

Explanation: Ans. Muller's muscle